Most important step in cholera control:
1. Chemoprophylaxis
2. Vaccination
3. Early treatment
4. Water sanitation

Correct answer: 4. Water sanitation

Explanation: Ans. is. 'd' i. e., Water sanitation